Which is beta antagonist?
1. Salbutamol
2. Propanolol
3. Salmeterol
4. Albuterol

Correct answer: 2. Propanolol

Explanation: Ref:KD Tripathi pharmacology 7th edition (page.no: 144) classification of b blockers : Nonselective (b 1 and b 2 ) a.Without intrinsic sympathomimetic activity; Propranolol, Sotalol, Timolol. b.With intrinsic sympathomimetic activity ; Pindolol c.With additional a blocking property ; Labetalol, Carvedilol Cardioselective ( b1 ) Metoprolol, Atenolol, Acebutolol, Bisoprolol; Esmolol, Betaxolol, Celiprolol, Nebivolol beta -2-agonists- Salmeterol, Salbutamol